Which of the following anticoagulant is safest in pregnancy?
1. Warfarin
2. Heparin
3. Phenindione
4. Dicumarol

Correct answer: 2. Heparin

Explanation: Oral anticoagulants like warfarin, phenindione and dicumarol can cross placenta and produce teratogenicity if used during pregnancy. Heparin does not cross placenta and is safe in pregnancy.